Teeth and Cartilage are seen in which tumor of ovary?
1. Dermoid cyst
2. Brenner tumor
3. Mucinous cysadencarcinoma
4. Serous cysadenocarcinoma

Correct answer: 1. Dermoid cyst

Explanation: Ans. is 'a' i.e., Dermoid cyst Microscopic examination of dermoid cysto The wall is lined by stratified squamous epithelium; and at places by granulation tissue. The epithelium may be transitional or columnar.o The most common tissue elements are ectodermal.o The terminology of'dermoid cyst' is misnomer, as apart from ectodermal element, there may be endodermal and mesodermal tissues; bone, cartilage, neural tissue, thyroid and salivary gland tissues, are often present.